Wiskott Aldrich not true is -a) Raised IgEb) Raised IgMc) Reduced IgAd) CD4 and CD8 defect
1. a
2. c
3. ac
4. bc

Correct answer: 4. bc